The position of the hip in a patient with posterior dislocation of the hip is
1. Extension, abduction, internal rotation
2. Flexion, adduction, internal rotation
3. Flexion, abduction, internal rotation
4. Flexion, abduction, external rotation

Correct answer: 2. Flexion, adduction, internal rotation

Explanation: Position and attitude of hip pathology Flexion, Abduction, External rotationFlexion, Adduction, Internal rotationu1st stage of TB hip uAnterior dislocation of hip uFracture shaft of femur uPolio hipuHip joint effusion u2nd and 3rd stage of TB hip uPosterior dislocation of the hip uTraumatic hip dislocation (Refer: Watson Jones Textbook of Orthopedics & Trauma, 6thedition,pg no: 901-935)